Bradycardia is seen with:
1. Midazolam
2. Epinephrine
3. Succinyl choline
4. Dopamine

Correct answer: 3. Succinyl choline

Explanation: Ans: C (Succinyl choline) Ref: Ajay Yadav, Short textbook of Pediatrics, 1st editionExplanation:Cardiac Sideeffects of Anesthetic DrugsDrugsCardiac Side effectsMidazolamMinimal reduction in Heart rate, Blood pressure and cardiac outputEpinephrineProduces tachycardia, hypertension and ventricular arrhythmiasSuccinyiCholineIt produces muscarinic effects, similar to Acetyl cholineIt causes Profound BRADYCARDIA, so atropine should be given prior to use of Succinylcholine Choline, especially in childrenDopamineProduces tachycardia, hypertension and ventricular arrhythmiasThiopentoneit causes Hypotension, which is more because of venodilatation and direct depression of vasomotor centreDirect myocardial depressant